Smoking predisposes to all of the following cancers except -
1. Carcinoma larynx
2. Carcinoma bladder
3. Carcinoma stomach
4. Lymphoma

Correct answer: 4. Lymphoma